The most distinctive feature of pathogenic E. histolytica on fresh stool examination is:
1. Presence of active pseudopodia
2. Erythrophagocytosis
3. Presence of intracytoplasmic vacuole
4. Presence of two nucleoli

Correct answer: 2. Erythrophagocytosis

Explanation: The trophozoites from acute dysentric stools often contain phagocytosed erythrocytes. This feature is diagnostic and distinctive as phagocytosed red cells are not found in any other commensal intestinal amoebae.